Which of these drugs DOES NOT decrease angiotensin II activity:
1. Enalapril
2. Valsartan
3. Nesiritide
4. Omapatrilat

Correct answer: 3. Nesiritide

Explanation: Drugs that can decrease Angiotensin 2 activity- ACE inhibitors e.g. Enalapril Angiotensin receptor blocker e.g. Valsartan Combination of ACE inhibitor and NEP inhibitors e.g.Omapatrilat. Nesiritide- Recombinant BNP